28 year old female presented with syphilitic chancre. She was put on Inj. Benzathine penicillin G 2.4 million units i.m single dose regimen. After initial treatment, she was screened at 6 month interval. She was found to be still positive. Which of the following treatment regimen would you recommend
1. Inj. Benzathine penicillin G, 2.4 mIU i.m single dose
2. Inj. Benzathine penicillin G, 2.4 mIU i.m twice daily for 1 week
3. Inj. Benzathine penicillin G, 2.4 mIU i.m twice weekly for 3 weeks
4. Inj. Benzathine penicillin G, 2.4 mIU i.m weekly for 3 weeks

Correct answer: 4. Inj. Benzathine penicillin G, 2.4 mIU i.m weekly for 3 weeks

Explanation: Retreatment Recommendations are.
Benzathine penicillin G, 2.4 million units i.m weekly for 3 weeks.